Electron microscopic examination of the bacterial flora of necrotising ulcerative gingivitis indicates the presence of microorganisms within non-necrotic tissues in advance of other bacteria. The organisms involved are
1. Cocci
2. Spirochetes
3. Bacteriophages
4. Filamentous rods

Correct answer: 2. Spirochetes